Spalding's sign is seen in:
1. Still born
2. Live born
3. Premature
4. Dead born

Correct answer: 4. Dead born

Explanation: Ans. is d, i.e. Dead bornRef. Dutta Obs. 9/e, p 303; Sheila Balakrishnan, p 249; Reddy 26/e, p 378, 379Spalding sign: It is the irregular overlapping of the cranial bones on one another, due to liquefaction of the brain matter and softening of the ligamentous structures supporting the vault.Appears 7 days after death.Is evident on both ultrasound and radiology?Similar features may be found in extrauterine pregnancy with live fetus.